Post exposure prophylaxis is given in all except ?
1. Rabies
2. Chickenpox
3. Measles
4. Typhoid

Correct answer: 4. Typhoid

Explanation: Ans. is 'd' i.e., Typhoid Post-exposure immunization Post exposure immunization is prophylactic immunization immediately after exposure to a pathogen, in order to prevent infection by the pathogen and the development of disease. Post exposure immunization is given for - Varicella (chicken pox) Measles Rabies Tetanus Hepatitis Meningococcal meningitis